Causes of severe hypokalemic metabolic alkalosis with severe hypertension include
1. Liddle syndrome
2. Bartter syndrome
3. Gitelman syndrome
4. Renal tubular acidosis

Correct answer: 1. Liddle syndrome

Explanation: Liddle syndrome - AD, gain-in-function mutations of ENaC subunits. Activating kidneys to excrete potassium retaining excessive sodium & water, leading to hypertension. C/F- severe hypertension with hypokalemia, unresponsive to spironolactone yet sensitive to amiloride